Following are features of polycythemia rubra vera except -
1. Increased red cell mass
2. Normal arterial oxygen sturation
3. High leucocyte alkaline phosphatase score
4. None

Correct answer: 4. None

Explanation: Polycythaemia rubra vera results in increased red cell mass,arterial oxygen saturation >92%, & raised neutrophil alkaline phosphatase scores.

Reference :Harsh mohan textbook of pathology sixth editionpg no 359.